Likest scale is a type of
1. Ordinal scale
2. Nominal scale
3. Metric scale
4. None of the above

Correct answer: 1. Ordinal scale

Explanation: Likest scale is a type of ordinal scale.
Ordinal scale is Qualitative method.
In Likest scale : Responses are graded on a contineum.